Radio activity was discovered by:
1. Marie curie
2. Pierre curie
3. Rutherford
4. Henri bequerel

Correct answer: 4. Henri bequerel

Explanation: Ans. Henri bequerel